Which of the following is not an RNA virus aEUR'
1. Ebola
2. Simian 40
3. Rabies
4. Vesicular stomatitis virus

Correct answer: 2. Simian 40

Explanation: Simian 40 RNA viruses are Picornaviridae Poliovirus Coxsackievirus Echovirus Enterovirus Rhinovirus Hepatitis A virus Caliciviridae Norwalk agent Hepatitis E virus Togaviridae Rubella virus Eastern equine encephalitis virus Western equine encephalitis virus Flaviviridae Yellow fever virus Dengue virus St. Louis encephalitis virus West nile virus Hepatitis C virus Hepatitis G virus Coronaviridae Coronaviruses Rhabdoviridae Rabies virus Vesicular stomatitis virus Filoviridae Marbura virus Marburg Ebola virus Paramyxoviridae Parainfluenza virus Respiratory syncytial virus Newcastle disease virus Mumps virus Rubeola (measles) virus